Anakinra is a ?
1. IL - 1 antagonist
2. IL - 2 antagonist
3. IL - 6 antagonist
4. IL - 10 antagonist

Correct answer: 1. IL - 1 antagonist

Explanation: Ans. is 'a' i.e., IL-1 antagonist Anakinra is an IL-1 antagonist. It is used for some rare syndromes dependent on IL-1 production : Neonatal - onset inflammatory disease Muckle - Wells syndrome Familial cold urticaria Systemic juvenile - onset inflammatory arthritis RA